Ashley's flap is:
1. Palatal rotation flap.
2. Buccal pedicle flap.
3. Buccal free flap.
4. Palatal free flap.

Correct answer: 1. Palatal rotation flap.